Fundamental desire for learning in an individual is:
1. Interest.
2. Motivation.
3. Participation
4. Learning by doing.

Correct answer: 2. Motivation.

Explanation: Principles of health education:

Credibility
Interest
Participation
Motivation
Comprehension
Reinforcement
Learning by doing
Known to unknown
Setting an example
Good human relations
Feedback
Community Leaders
Soil, Seed, Sower

Motivation is defined as "the fundamental desire for learning in an individual".